The which of the following genes are mutated in development of colon ca. According to vogelstein edenoma carcinoma theory
1. Beta catenin
2. K RAS
3. APC
4. All of the above

Correct answer: 4. All of the above